Transport mechanism which requires carrier protein but no energy -
1. Simple diffusion
2. Facilitated diffiisiun
3. Osmosis
4. Active transport

Correct answer: 2. Facilitated diffiisiun

Explanation: Ans. is 'b' i.e., Facilitated diffusiun Types of transport across cell membrane Carrier protein involvedEnergy requiredConcentration gradientSimple diffusionNoNoAlong (Down hill)Osmosis (Diffusion of H2O)NoNoAlong (Down hill)Facilitated diffusionYesNoAlong (Down hill)Active transportYesYesAgainst (Up hill)ExocytosisNoYesN/A (not applicable)Endocytosis # Pinocytosis & Phagocytosis# Receptor mediated endocytosisNoYesYesYesN/AN/A